Deep inguinal ring is a defect in aponeurosis of:
1. External oblique muscle of abdomen
2. Internal oblique muscle of abdomen
3. Transverse abdominis muscle
4. Transversalis fascia

Correct answer: 4. Transversalis fascia

Explanation: Ans. (d) Transversalis fasciaRef: Bailey & Love 26th ed. / 955* Deep inguinal ring is the opening in the transversalis fascia through which the ductus deferens and gonadal vessels (or round ligament in the female) enter the inguinal canal.* Located midway between anterior superior iliac spine and pubic tubercle, it is bounded medially by the lateral umbilical fold (inferior epigastric vessels) and inferiorly by the ilio-pubic tract. Indirect inguinal hernias exit the abdominal cavity through the deep inguinal ring.